Testis is involved but epidydimis is spared in?
1. Syphilis
2. Gonorrhea
3. Chancroid
4. Chlamydia

Correct answer: 1. Syphilis

Explanation: ANSWER: (A) SyphilisREF: Bailey and Love 24th ed p- 1411"Orchitis without epididymitis is seen in syphilis"CAUSES OF EPIDYDIMITIS:Chlamydia trachomatisNeisseria gonorrhoeaeE. coliUreaplasmaMycobacteriumCytomegalovirusCryptococcus